"Seat belt syndrome" is
1. Fracture ilium with rupture of urethra
2. Sudden deceleration can result in a tom mesentery
3. Fracture shaft of the femur with testicular swelling
4. Non-specific; mesenteric adenitis

Correct answer: 2. Sudden deceleration can result in a tom mesentery

Explanation: (Sudden deceleration can result in a torn mesentery) (1147-48-LB) (1003-4-B &L 25th)SEAT-BELT SYNDROME - If a car accident occurs when a seat belt is worn, sudden deceleration can result in a tom mesentery. This possibility should be borne in mind, particularly as multiple injuries may distract attention from this injury. If there is any bruishing of the abdominal wall or even marks of clothing impressed into the skin, laparotomy may be indicated.* Diagnostic peritoneal lavage may be helpful in this situation.